In acute epiglottitis, common cause of death is:
1. Acidosis
2. Respiratory obstruction
3. Atelactasis
4. Laryngospasm

Correct answer: 2. Respiratory obstruction

Explanation: Acute Epiglottitis Respiratory arrest is more likely in patients with rapidly progressive disease arid occurs within hours of onset of the illness Other complications are rare but include epiglottic abscess, pulmonary edema secondary to relieving airway obstruction and thrombosis of internal jugular vein (Lemierre's syndrome) The main complication is death from respiratory arrest due to acute airway obstruction